A patient presented to you with vaginal discharge. Whiff test was positive. What is the diagnosis?
1. Bacterial vaginosis
2. Candidal vaginitis
3. Gonococcal infection
4. Chlamydial infection

Correct answer: 1. Bacterial vaginosis

Explanation: Whiff positive - Bacterial vaginosis Gram staining - Diplococcus - Gonococci Gram staining - No organism - Chlamydial infection KOH mount - Yeast cells - Candida vaginitis Ref: Essentials of Gynaecology by Lakshmi Seshadri, Edition 1, page - 176.